A 30-year-old patient presented with history of jaundice for 30 days. His liver function tests showed bilirubin of 100mg/dI, SGOT/SGPT-1 100/1450, serum alkaline phosphatase-240 IU. He was positive for Hbs Ag. What should be the confirmatory test to establish Acute hepatitis B infection?
1. IgM Anti-HBc antibody
2. HbeAg
3. HBV DNA by PCR
4. Anti-HBc antibody

Correct answer: 1. IgM Anti-HBc antibody

Explanation: Answer is A (IgM - Anti - HBc antibody) :